Second molars that get locked under the distal cusps of first molars during eruption are best
1. Extracted and third molars allowed to erupt
2. Autogenously transplanted
3. Disimpacted with "disimpaction springs"
4. Guided with distal shoe space maintainer

Correct answer: 3. Disimpacted with "disimpaction springs"